Dellen is –
1. Localized thinning of peripheral cornea
2. Raised lesions in corneo limbal junction
3. Age related macular degeneration
4. Marginal keratitis

Correct answer: 1. Localized thinning of peripheral cornea

Explanation: Dellen are localized areas of thinning or drying, of the peripheral cornea, usually on temporal side.